Which of the following antiplatelet drugs is a prodrug?
1. Clopidogrel
2. Tirofiban
3. Aspirin
4. Dipyridamole

Correct answer: 1. Clopidogrel

Explanation: Prodrugs among antiplatelet drugs- clopidogrel and prasugrel both are p2y12 inhibitors- new drugs blocking platelet aggregation Pg.no. 630KD TRIPATHI Seventh edition